Secondary hemorrhage is after how many days of tonsillectomy
1. Within 6 hrs of operation
2. Within 24 hrs of operation
3. Within 3 weeks of operation
4. Within 3 months of operation

Correct answer: 3. Within 3 weeks of operation

Explanation: Secondary haemorrhage (occur from 3rd day onwards (5th to 10th day higher chances) due to sloughing of arteries caused by infection). It is the result of sepsis and premature separation of membrane. Ref : ENT textbook by Dhingra 6th edition Pgno : 430